All the following types of hypersensitivity reactions can be demonstrated by skin test except -
1. Type I
2. Type II
3. Type III
4. Type IV

Correct answer: 2. Type II

Explanation: Type II hypersensitivity reaction is initiated by IgG or rarely IgM antibodies that react either with cell surface or tissue antigen. Cell or tissue damage occurs in the presence of complement or mononuclear cells. Thus it cannot be elicited by skin test. Reference : Anathanarayan & paniker's 9th edition, pg no: 166,162